Diverticulum most common site is
1. Sigmoid colon
2. Ileum
3. Ascending colon
4. Transverse colon

Correct answer: 1. Sigmoid colon

Explanation: Sigmoid diverticulitis Diverticular disease refers to acquired pseudo diverticular outpouchings of the colonic mucosa and submucosa. Rare below 30yrs but prevalence approaches 50% beyond 60yrs. Diverticula generally are multiple and the condition is referred to as diverticulosis. PATHOGENESIS Colonic diverticula tend to develop under conditions of elevated intraluminal pressure in the sigmoid colon TEXT BOOK OF ROBBINS BASIC PATHOLOGY NINTH EDITION PAGE.586 IMAGE REF: ROBBINS BASIC PATHOLOGY NINTH EDITION FIG: 14-25 PAGE 586